A person was brought by police from the railway platform. He is talking irrelevant. He is having a dry mouth with hot skin, dilated pupils, staggering gait and slurred speech. The most probable diagnosis is -
1. Alcohol intoxication
2. Carbamates poisoning
3. Organophosphorus poisoning
4. Datura poisoning

Correct answer: 4. Datura poisoning

Explanation: The patient in question has

(i) Muttering delirium (talking irrelevant), 
(ii) Dry mouth, 
(iii) Hot skin and 
(iv) Dilated pupil. 
Diagnosis is datura poisoning.